Which of the following is a histological feature of whipple's disease
1. Infiltration of histiocytes in the lamina propria.
2. Granuloma in the lamina
3. Macrophages with PAS (+)ve material inside the lamina propria
4. Eosinophils in the lamina propria

Correct answer: 3. Macrophages with PAS (+)ve material inside the lamina propria

Explanation: Histologically, the affected tissues show presence of characteristic macrophages containing PAS-positive granules and rod-shaped micro-organisms (Whipple's bacilli). These macrophages are predominantly present in the lamina propria of the small intestine and mesenteric lymph nodes. TEXT BOOK PF HARSH MOHAN SIXTH EDITION PAGE.576 IMAGE REF: